Selective culture medium to grow leptospira:
1. Thayer Main medium
2. Mac Conkey agar
3. Butzler medium
4. EMJH

Correct answer: 4. EMJH

Explanation: Culture medium Organism Thayer main medium Neisserial sp (gononococcus & meningococccus) Mac conkey agar Enterobacteriacea Butzler medium Campylobacter jejuni EMJH Leptospira EMJH medium It is semisynthetic liquid medium. Leptospiral growth produces a dense ring of organism just at the under surface of medium called dinger's ring.